ED50 is used for determining
1. Potency
2. Efficacy
3. Safety
4. Toxicity

Correct answer: 1. Potency

Explanation: Ed 50 measures potency Ld 50 measures safety or fatality ed50- dose required to produce 50% of the maximum effect LD50- The dose that causes death in 50 percent of the subjects tested Pgno-54 K D Tripathi Seventh edition